Which of the following anesthetic agents does not trigger malignant hyperthermia ?
1. Halothane
2. Isoflurane
3. Suxamethonium
4. Thiopentone

Correct answer: 4. Thiopentone

Explanation: Drugs causing malignant hyperthermia are succinylcholine (most common cause), Halothane (most common cause amongst the inhalational agent), Isoflurane, Enflurane, Sevoflurane, Desflurane, Methoxyflurane, Cyclopropane, Ether, MAO inhibitors, TCA, Phenothiazine, Lignocaine.